A 40 year old male patient came for a routine dental checkup. Intra-oral examination reveals multiple teeth restored with silver amalgam restoration and glass ionomer base. The compressive strength of the base used in this patient is:
1. 100 MPa
2. 77 MPa
3. 120 MPa
4. 90 MPa

Correct answer: 3. 120 MPa